Herpes zoster ophthalmicus is caused by:
1. VZV
2. HPV
3. HSV
4. CMV

Correct answer: 1. VZV

Explanation: Zoster ophthalmicus is caused by Varicella zoster virus. It is a complication of herpes zoster. Other complications of herpes zoster are-* Post herpetic neuralgia* Ramsay hunt syndrome* Pneumonia